Shortest acting non benzodiazepine sedative is
1. Zolpidem
2. Zopiclone
3. Zaleplon
4. Midazolam

Correct answer: 3. Zaleplon

Explanation: Zaleplon is the shortest acting among the other 3 'Z' compounds given above.
Midazolam is the shortest acting sedtive among all the Benzodiazepines.